Which of the following inhalational agent potentiate neuromuscular blocker most?
1. Halothane
2. Isoflurane
3. Sevoflurane
4. Desflurane

Correct answer: 4. Desflurane

Explanation: The degree of enhancement is related to their aqueous concentration so that at equi - MAC concentration the less potent anesthetic (Desflurane) should have greater inhibitory effect on neuromuscular transmission. thus desflurane having highest MAC potentiate the neuromuscular blocker most. followed by in order sevoflurane, isoflurane and halothane,